Contre-coup injury is a feature of injury to:
1. Brain
2. Stomach
3. Spleen
4. Heart

Correct answer: 1. Brain

Explanation: A i.e. Brain